Which of the following causes traveller's diarrhoea
1. ETEC
2. EHEC
3. EIEC
4. EPEC

Correct answer: 1. ETEC

Explanation: ETEC: Diarrhea caused by ETEC is of two epidemiological types. Endemic in developing countries mild watery diarrhea to fatal disease. 'Traveller's diarrhea' seen in persons from non-endemic areas visiting endemic areas. Ref: Textbook of microbiology; Ananthanarayan and paniker's; 10th Edition; Pg:285